Veldt sore is most common in ?
1. Hilly areas
2. Tropical climate
3. Rainy areas
4. Deses

Correct answer: 4. Deses

Explanation: D i.e. Deses